Skip lesions of colon with epitheloid granuloma are usually seen with -
1. Crohn's disease
2. Ulcerative colitis
3. Intestinal TB
4. Sarcoidosis

Correct answer: 1. Crohn's disease